Primary receptor cells of hearing is
1. Supporting cell
2. Tectorial membrane
3. Tunnel of Corti
4. Hair cell

Correct answer: 4. Hair cell

Explanation: Hair cells: are important receptor cells of hearing and transduce sound energy into electrical energy.